The composition of Lugol's iodine
1. 10% KI with 5% Iodine
2. 5% KI and 15% Iodine
3. 5% Iodine with 20% KI
4. 10% Iodine and 20% KI

Correct answer: 1. 10% KI with 5% Iodine

Explanation: Lugol's iodine is 10% KI with 5% Iodine. Used as an adjuvent in Graves patients planned for surgery. Iodides decrease the vascularity of the gland anf inhibit the release of thyroid hormones hence called thyroid constipating agents. Ref: KDT 7th ed Pg 255